The organism causing osteomyelitis in sickle cell anemia -
1. Salmonella
2. Staphylococcus
3. H. influenza
4. E. coli

Correct answer: 1. Salmonella

Explanation: Answer- A. SalmonellaMost common cause of osteomyelitis in sickle cell anemia is salmonella.